Following may be seen in the exit wound:
1. Dirt collar
2. Abrasion collar
3. Tattooing
4. Inverted edges

Correct answer: 2. Abrasion collar

Explanation: Ans. Abrasion collar